The first macroscopic indication of morphologic development of primary incisors approximately at:
1. 11 weeks in utero
2. 14 weeks in utero
3. 16 weeks in utero
4. 6 weeks in utero

Correct answer: 1. 11 weeks in utero